Which of the following is considered the highest and most severe classification of maxillary fracture?
1. LeFort I
2. LeFort II
3. LeFort III
4. LeFort IV

Correct answer: 3. LeFort III

Explanation: Maxillary fractures may be classified as LeFort I, II, or III. The LeFort III is the highest and most severe.